Not true about nocturnal penile tumescence is -
1. Totals about 100 min / night
2. Normal phenomenon
3. Occurs in NREM sleep
4. Can be used to distinguish between psychological or organic impotence

Correct answer: 3. Occurs in NREM sleep

Explanation: Nocturnal penile tumescence occurs in REM sleep. It is a normal phenomenon and occurs for 80-120 minutes per night. It can differentiate psychogenic impotence from organic impotence.